Orthodontic closure of a midline diastema in a patient with thick maxillary frenum:
1. Is accomplished prior to the frenum surgery
2. Is accomplished after the frenum surgery
3. After orthodontic closure, frenum surgery is typically not indicated
4. After frenum surgery, orthodontic closure is typically not indicated

Correct answer: 1. Is accomplished prior to the frenum surgery

Explanation: Orthodontic closure of a midline diastema is accomplished prior to the periodontal surgery. If a frenectomy is performed prior to orthodontic treatment, it is possible that scar tissue could form in the area, which may impede orthodontic tooth movement.